Most important side effect of aspirin ?
1. Gastritis
2. Edema
3. Kidney damage
4. Hypersensitivity

Correct answer: 1. Gastritis

Explanation: Ans. is 'a' i.e., Gastritis Adverse effects of aspirin Side effects Occur at analgesic dose (0.3 - 1.5 mg/day) Symptoms are nausea, vomiting, epigastric distress, increased occult blood loss in stools. The most important adverse effect of aspirin is gastric mucosal damage.